Treatment modality carried out for exophytic, radiosensitive, well-oxygenated tumor is:
1. Surgery
2. Radiation therapy
3. Chemotherapy
4. Combined therapy

Correct answer: 2. Radiation therapy

Explanation: Radiation

For T1 and T2 lesions.
Exophytic radiosensitive and well oxygenated tumors.
Tumors with small cervical metastasis.